chemotaxis in response to activation of cells results in
1. Random multi directional movement
2. Unidirectional motion
3. Adhesion to endothelium
4. Augmeted oxygen dependent bactericidal effect

Correct answer: 2. Unidirectional motion

Explanation: Chemotaxis :-After extravasating from the blood, leukocytes move toward sites of infection or injury along a chemical gradient. It is unidirectional or targeted movement of the leukocytes towards antigens/ bacteria. Both exogenous and endogenous substances can be chemotactic for leukocytes, including the following: Exogenous Bacterial products, particularly peptides with N-formylmethionine termini Endogenous Cytokines, especially those of the chemokine family Components of the complement system, particularly C5 Products of the lipoxygenase pathway of arachidonic acid (AA) metabolism, particularly leukotriene B4 (LTB4) ref:- basic pathology, Robbins 9th ed, page 36